True about CA GB
1. Most commonly presents with obstructive jaundice
2. 90% associated with gallstones
3. 5-year survival is 35%
4. 30% are squamous cell carcinoma

Correct answer: 2. 90% associated with gallstones

Explanation: Option A: most commonly presents with right upper quadrant pain often mimicking cholecystitis and cholelithiasis not jaundice (it is less common presenting symptom) OptionB: Cholelithiasis is seen in 75-98% of all patients with CA GB Option C: 5 year survival is 25% Option D: No squamous type histological pattern Ref: Sabiston 20th edition Pgno :1512-1514